Uric acid is formed by
1. Catabolism of proteins
2. Catabolism of ketones
3. Catabolism of purines
4. Catabolism of pyrimidines

Correct answer: 3. Catabolism of purines

Explanation: Uric acid the end product of purine catabolismis a strong reducing agent. Its role as an antioxidant is particularly significant in the upper respiratory tract REF : DM VASUDEVAN TEXTBOOK ;8th EDITION ;Page no:547 and 548